Anemia of chronic disease is characterized by all,except -
1. Decreased serum iron
2. Increased total iron binding capacity (TIBC)
3. Increased serum ferritin
4. Increased macrophage iron in bone marrow

Correct answer: 2. Increased total iron binding capacity (TIBC)